Type of speech seen in nasopharyngeal carcinoma -
1. Rhinolalia clausa
2. Rhinolalia aperta
3. Hot potato voice
4. Hoarse voice

Correct answer: 1. Rhinolalia clausa

Explanation: Nasopharyngeal carcinoma causes denasal speech, i.e. Rhinolalia clausa.